Which of the following does not cause microcytic hypochromic anemia?
1. Iron deficiency anemia
2. Thalassemia
3. Fanconi's anemia
4. Lead poisoning

Correct answer: 3. Fanconi's anemia

Explanation: - Fanconi's anemia is a type of Aplastic anemia Causes of microcytic hypochromic anemia: Sideroblastic anemia Iron deficiency anemia Thalassemia Anemia of chronic diseases Lead poisoning